Which of the following is not used for throm-bopro phylaxis:
1. Heparin
2. Warfarin
3. Antithrombin III
4. Aspirin

Correct answer: 3. Antithrombin III

Explanation: Antithrombin is a peptide that is synthesised in the liver and circulates in the plasma . Other three are drugs that can be used prophylactically. From medical pharmacology padmaja 4th edition Page no 334